Medical Negligence is booked under which of the following IPC section?
1. 304 A
2. 300
3. 375
4. 320

Correct answer: 1. 304 A

Explanation: Ans: A (304 A) Ref: 'The Essentials of Forensic Medicine and Toxicology by KS Narayan Reddy. 29th edition. 2010. Pg: 34Explanation:Medical Negligence is considered to be criminal negligence ifWhen a doctor shows gross absence of skill or care during treatment resulting in serious injury to or death of a patientWhen a doctor performs an illegal actWhen an assaulted person dies, the defence may attribute the death to the negligence or undue interference in the treatment of the deceased by the doctor.Section 304-A IPC deals with Criminal Negligence "Whosoever causes the death of any person by doing any rash or negligent act not amounting to culpable homicide shll be punished with imprisonment upto 2 years or with fine or with both" (See Following tables)